Maximum density is seen in -
1. VLDL
2. LDL
3. HDL
4. Chylomicrons

Correct answer: 3. HDL

Explanation: Ans. is 'c' i.e., HDL ChylomicronVLDLLDLHDLElectrophoresisFound at originPre-b (a2)ba (or a1)Mobility in electric fieldLeast Found in beta regionHighestAporproteinApob48Apo b-100Apo b-100Apo A-1 & IIOrigin (synthesis)Intestine (-nt in serum)Liver, intestineIn blood from degradationLiver of VLDLSize1000-10,000 A0 (maxm)300-700 A0 (minm)150-250 A075-100A0Density<.96 (lowest) > 1.063 (Max.)Major lipidsTG (90%)TG (50%)Cholesterol (45%)PL (30%)FunctionsTransportsexogenous/dietary TG (Intestine - liver)Transportendogenous TG liver - peripheral tissueAtherogenic caused CAD coronary artery d/s; (major transporter of choresstrol in bid)Scavenging action transports cholest- rol from peripheral tissue to liver for degrada"